Baclofen is used in the treatment of :
1. Schizophrenia
2. Depression
3. Anxiety
4. Spasticity

Correct answer: 4. Spasticity